Pain is carried by which type of nerve fibres ?
1. aa
2. Ab
3. B
4. C

Correct answer: 4. C

Explanation: Ans. is 'd' i.e., C